Stabilization of stainless steel is achieved by adding:
1. Carbon
2. Chromium
3. Nickel
4. Titanium

Correct answer: 4. Titanium